A 60 year old man presents with non productive cough for 4 weeks: He has grade I clubbing, and a lesion in the apical lobe on xray. Most likely diagnosis here is -
1. Small cell ca
2. Non small cell ca
3. Fungal infection
4. Tuberculosis

Correct answer: 2. Non small cell ca